Odiosoft rhino is a method used for
1. Detecting softness of nasal cartilages
2. Detecting nasal elasticity
3. Assessing nasal block
4. Detecting nasal mucosal secretory function

Correct answer: 3. Assessing nasal block

Explanation: Odiosoft rhino is an equipment used to measure the sound produced by nasal airflow. Measurement of nasal air flow sounds helps us to indirectly assess the presence/absence of nasal block as well as accurately identifying the site of the block. Ref: